Most common site of origin of pleomorphic adenoma is:
1. Parotid gland
2. Submandibular salivary gland
3. Minor salivary glands of soft and hard palate
4. Minor salivary glands of lip

Correct answer: 1. Parotid gland

Explanation: Pleomorphic adenoma most commonly arises from the parotid gland. Ninety per cent are located in the superficial lobe while 10% involve deep lobe and present as parapharyngeal tumours.